Action of ciliary muscle:
1. Constriction of pupil
2. Dilatation of pupil
3. Change in shape of lens
4. All of the above

Correct answer: 3. Change in shape of lens

Explanation: Ciliary muscleIt is a ring of striated smooth muscle in the eye's middle layer (vascular layer)It controls accommodation for viewing objects at varying distances and regulates the flow of aqueous humour into Schlemm's canal.It changes the shape of the lens within the eye, not the size of the pupil which is carried out by the sphincter pupillae muscle.The muscle has only parasympathetic innervation.